What is the age of tendon transfer in post polio residual paralysis -
1. <6 months
2. 1 year
3. 2 years
4. >5 years

Correct answer: 4. >5 years

Explanation: Ans. is 'd' i.e., > 5 years * The available musclepower is redistributed either to equalize an unbalanced paralysis, or to use the motorpower for a more useful function.* It is not done before 5 years of age, asthe child has to be manageable enough tobe taught proper exercises.* More commonlyperformed tendon transfers are as follows:i) Transfer of extensor hallucis longus (EHL)from the distal phalanx of great toe tothe neck of the first metatarsal (modifiedjones operation). This is done to correctfirst metatarsal drop in case of tibialisanterior muscle weakness.ii) Transfer of peronius tertious and brevismuscles (evertors of the foot) to thedorsum of the foot. The transfer isrequired in a foot with dorsiflexor weakness.Evertors can be spared for moreuseful function of dorsiflexion of the foot.iii) Hamstring (knee flexors) transfer to thequadriceps muscle to support a weak knee extensor.